A bullet with an unsteady trajectory during flight is known as?
1. Souvenir bullet
2. Yawning bullet
3. Frangible bullet
4. Incendiary bullet

Correct answer: 2. Yawning bullet

Explanation: Souvenir bullet remains in the live victim long after the gunshot injury without any deleterious effect. Frangible bullets are designed to fragment on impact. Incendiary bullet contains phosphorous which burns on firing. Ref: Textbook of Forensic Medicine and Toxicology By V.V Pillay, 15th Edition, Pages 211-12